ANCA is most specific and sensitive marker for
1. Idiopathic cresteric glomerlunephritis
2. Post streptococcal Glomerulonephritis
3. Membranoproliferative glomerulonephritis
4. Focal segmental Glomerulunephritis

Correct answer: 1. Idiopathic cresteric glomerlunephritis

Explanation: Robbins 9/e p 910-911 merulonephritis and cases of crescentic glomerulone- phritis that occur as a component of systemic vasculitis, and the similar pathologic features in either setting, have led to the idea that these disorders are pathogeneti- cally related. According to this concept, all cases of crescentic glomerulonephritis of the pauci-immune type are manifestations of small-vessel vasculitis or polyangiitis, which is limited to glomerular and perhaps peritubular capillaries in cases of idiopathic crescentic glomerulonephritis. Since these entities are viewed